T cell interleukins are all except ?
1. IL 1
2. IL 2
3. IL 4
4. IL 5

Correct answer: 1. IL 1

Explanation: Ans. is 'a' i.e., IL 1 Cytokines: Messenger molecules of immune system The induction and regulation of immune responses involve multiple interactions among lymphocytes, dendritic cells, macrophages, other inflammatory cells (e.g., neutrophils), and endothelial cells. Many cellular interactions and functions of leukocytes are mediated by secreted proteins called cytokines. Molecularly defined cytokines are called interleukins, because they mediate communications between leukocytes. Cytokines which contribute to different types of immune responses are as follows: In innate immune responses: TNF, IL-1, IL-12, type I IFNs, IFN-y, In adaptive immune responses (T cell): Inducer cytokines - IL-2, IL-4, IL-5, IL-17 and IFN-y; Terminating cytokines - TGF-P and IL-10. Stimulate hematopoiesis and are called colony-stimulating factors:GM-CSF, and IL-7.